Which amino acid has maximum tendency to bind phosphate ?
1. Serine
2. Alanine
3. Phenylalanine
4. Tryptophan

Correct answer: 1. Serine

Explanation: OH containing amino acid has maximum tendency to bind phosphate Eg.Tyrosine, Threonine and Serine.